The softening of the uterus with lateral implantation is called as :
1. Chadwick's sign
2. Hegar's sign
3. Goodell's sign
4. Piskacek's sign

Correct answer: 4. Piskacek's sign

Explanation: Piskacek's sign